Hemosiderin particles are seen histologically in case of
1. Fibroma
2. Pregnancy tumor
3. Peripheral giant cell granuloma
4. Papilloma

Correct answer: 3. Peripheral giant cell granuloma